Analysis of protein antigen is by
1. Southern blot
2. Northern blot
3. Western blot
4. Eastern blot

Correct answer: 3. Western blot

Explanation: The western blot is a widely used analytical technique used in molecular biology, immunogenetics and other molecular biology disciplines to detect specific proteins in a sample of tissue homogenate or extract. Ref : Ananthanarayana textbook of Microbiology 9th edition Pgno : 579